Patient with thin painless otorrhoea, multiple perforations of the tympanic membrane and failure to respond to antimicrobial treatment. What is the most probable causative organism ?
1. Mycobacterium tuberculosis
2. Staphylococcus aureus
3. Candida albicans
4. Aspegillusfumigatus

Correct answer: 1. Mycobacterium tuberculosis

Explanation: Ans. is 'a' i.e., Mycobacterium tuberculosis Thin painless otorrhoea, multiple perforations of the tympanic membrane and failure to respond to antimicrobial treatment are the features of tubercular otitis media and it is caused by Mycobacterium tuberculosis.